The most important aspect of emergency treatment for
an acute apical abscess is to:
1. Produce sedation
2. Obturation
3. Establish drainage
4. None of the above

Correct answer: 3. Establish drainage